What is reverse hypopyon?
1. Collection of pus in the vitreous
2. Collection of emulsified silicon oil in anterior chamber
3. Abscess in the orbit
4. Seen in corneal ulcer close to being ruptured

Correct answer: 2. Collection of emulsified silicon oil in anterior chamber

Explanation: (Refer: AK Khurana Comprehensive Ophthalmology, 6th edition, pg no. 98)Reverse hypopyonCollection of silicon oil in the anterior chamber may lead to the appearance of a reverse hypopyonThis is due to the emulsified oil being less denser than the aqueous layer "reverse hypopyon" can form when emulsified silicone oil used during vitreoretinal surgery enters the anterior chamber of the eye. The silicone oil floats in the aqueous to look like a layered hypopyon in the upper portion of the anterior chamber.